Meniere's disease is characterized by all EXCEPT
1. Vertigo
2. Sensorineural hearing loss
3. Tinnitus
4. Ear discharge

Correct answer: 4. Ear discharge

Explanation: (Ear discharge) (129-D) (100-D 4th)Menier'es Disease - is a classic triad of(I) Vertigo (episodic) - Sensorineural hearing loss(II) Tinnitus - Sense of fullness or pressure in the involved ear.* The main pathology is Meniere's disease is distension of endolymphatic system due to increased volume of endolymph.* Examination(I) Nystagmus - only during acute attack. Quick component of nystagmus is towards the unaffected ear.(II) Rinne test is positive(III) Absolute bone conduction (ABC) is reduced in the affected ear.(IV) Weber test is lateralized to the better ear.